Retrobulbar injection of xylocaine blocks all of the following except:
1. 3rd cranial nerve
2. 4th cranial nerve
3. 6th cranial nerve
4. Ciliary nerves and ciliary ganglion

Correct answer: 2. 4th cranial nerve

Explanation: Ans. 4th cranial nerve